In the early stage of which of the following carcinoma, no lymphatics involved:
1. Glottic CA
2. Infraglottic CA
3. Supraglottic CA
4. Hypopharyngeal CA

Correct answer: 1. Glottic CA

Explanation: Ans. (a) Glottic CARef: Dhingra's ENT 5th ed. / 327* Most common laryngeal malignancies are squamous cell CA (90-95%).* It can be any of these three sites:Supraglottis2nd MC site. Nodal metastasis occur early. MC to middle jugular nodes Symptom: Throat pain, Dysphagia, referred pain to ear > HoarsenessGlottisMC site. Local spread present. Nodal metastasis is always absent as glottis has no (or very few) lymphatics. Symptoms: Hoarseness > Stridor > laryngeal obstructionSubglottis3rd MC site. Lymph nodes involved are: Prelaryngeal, Pretracheal, Paratracheal and Lower jugular nodes. Symptoms: Stridor > Hoarseness